Lesser curvature anterior seromyotomy is indicated in-
1. Gastric ulcer
2. Gastric CA
3. Duodenal blowout
4. Duodenal ulcer

Correct answer: 4. Duodenal ulcer

Explanation: • Hill and Baker procedure: Posterior truncal vagotomy with anterior HSV.
• Taylor Procedure: Posterior truncal vagotomy with anterior lesser curve seromyotomy. The technique is very suitable for a laparoscopic approach.